In Valvular Aortic Stenosis poorest prognosis is indicated when
1. Angina occurs
2. Syncope occurs
3. Dyspnoea occurs
4. Palpitation occurs

Correct answer: 3. Dyspnoea occurs

Explanation: (C) Dyspnoea occurs > Death in patients with severe AS occurs most commonly in the seventh and eighth decades.# The average time to death after the onset of various symptoms was as follows: Angina pectoris-3 years; Syncope-3 years; Dyspnea - 2 years; Congestive heart failure - 1.5 to 2 years.> Congestive heart failure was considered to be the cause of death in one-half to two-thirds of patients.> Among adults dying with valvular AS, sudden death, which presumably resulted from an arrhythmia, occurred in 10 to 20% and at an average age of 60 years.